FIGLU is related to -
1. Tyrosine
2. Tryptophan
3. Histidine
4. Proline

Correct answer: 3. Histidine

Explanation: Ans. is 'c' i.e., Histidine* FIGLU test or Formiminoglutamate test is done to detect the deficiency of folate.* This test is based on histidine metabolism.